The swollen degenerating epithelial cell due to acantholysis is:
1. Tzanck cell.
2. Ghost cell.
3. Prickle cell
4. Anitschow cell

Correct answer: 1. Tzanck cell.